As per ISO, color of NO2 cylinder is?
1. Blue
2. Black
3. White
4. Red

Correct answer: 1. Blue

Explanation: Ans. A. Blue. (Ref. Lee anaesthesia 12th/pg. 104)COLOR AND PRESSURE OF CYLINDERS CylinderCOLORPRESSURE (BAR)1CyclopropaneOrange52NOBlue543 Grey504HalothaneAmber (Red)-5EthyleneRed-6HeliumBrown1377deg2Black body with white shoulder1378Entonox (50%O2+50%N2O)Blue with white shoulder1379ThiopentoneYellow-10N2Black-11AirGrey with white shoulder137